Caseous necrosis is see in?
1. CMV infection
2. Pneumocoocal infection
3. Histoplasmosis
4. HSV infection

Correct answer: 3. Histoplasmosis

Explanation: Caseous necrosis
It is a variant of coagulative necrosis. It is most commonly encountered when cell death is attributable to certain organisms e.g., Mycobacterium tuberculosis (TB), syphilis and fungi (Histoplasma, Coccidioidomycosis).